A 20-year-old female patient presented with a thyroid swelling. Most probably, the fine needle aspiration cytology will not diagnose -
1. Non-Hodgkin's lymphoma of thyroid
2. Medullary carcinoma of thyroid
3. Papillary carcinoma of thyroid
4. Follicular carcinoma of thyroid

Correct answer: 4. Follicular carcinoma of thyroid

Explanation: FNAC in thyroid swellings - FNAC is the investigation of choice in discrete thyroid swellings Its advantages are Excellent patient compliance Quick to perform FNAC is valuable in Colloid nodule Thyroiditis Papillary carcinoma Medullary Carcinoma Anaplastic Carcinoma Lymphoma But FNAC is not able to distinguish between follicular adenoma & Follicular carcinoma because the cytological appearance of Follicular Adenoma & Follicular Carcinoma is almost the same. Diagnosis of follicular carcinoma requires histopathological findings of infiltration of capsule & Neurovascular structures. Therefore follicular carcinoma requires biopsy for its diagnosis (after hemithyroidectomy, of course). Ref : L & B 25/e 780 , Srb's manual of surgery 5e p483